Acety CoA is necessary for
1. Aminoacid synthesis
2. Fatty acid synthesis
3. Glucose storage
4. All

Correct answer: 2. Fatty acid synthesis